Multiplication factor for estimating height from length of foot is
1. 7
2. 4
3. 5
4. 3

Correct answer: 1. 7

Explanation: (Length of one upper limb x 2) +34 is equal to stature. Height of head x 8 is equal to stature Length from vertex to pubis x 2 is equal to height Length of foot x 7 is the approximate height Suprasternal notch to pubic symphysis x 3.3 is equal to stature. Ref: FORENSIC MEDICINE AND TOXICOLOGY Dr PC IGNATIUS THIRD EDITION PAGE NO 96